Which of the following is absent in CREST syndrome
1. calcinosis cutis
2. Raynaud's phenomenon
3. Telagiectasis
4. Endocrine disorders

Correct answer: 4. Endocrine disorders

Explanation: CREST Syndrome is acronym of Five major findings:

Calcinosis cutis,
Raynaud's phenomenon,
Esophageal dysfunction,
Sclerodoctyly and
Telengiectasiasis